The study which proceeds from cause to effect
1. Retrospective
2. Case control
3. Cohort
4. Descriptive

Correct answer: 3. Cohort